All are true about hepatitis virus EXCEPT -
1. HAV leads to most of fulminant hepatitis
2. HCV leads to chronic liver disease
3. HAV is transmitted feco orally
4. HBV can cause hepatocellular carcinoma

Correct answer: 1. HAV leads to most of fulminant hepatitis